In apoptosis permeabiiization of membrane occure in:
1. Nuclear membrane
2. Cytoplasmic membrane
3. Lysosome
4. Mitochondrial membrane

Correct answer: 4. Mitochondrial membrane

Explanation: Ans: D (Mitochondrial....) Outer mitochondrial membrane permeabilization during apoptosis toxsci.oxfordjournals.org/content/53/2/340-abstract"One critical step of apoptosis is the release of mitochondrial proteins through the outer mitochondrial membrane. Recent work shows that two pro-apoptotic Bcl-2 family proteins, Bax and Bid, as well as the mitochondrion-specific lipid cardiolipin may cooperate in chemically defined liposomes to generate a protein-permeable conduit, relaunching the debate on the identity of the pore responsible for mitochondrial membrane permeabilization during apoptosis"Outer mitochondrial membrane permeabilization during apoptosis triggers caspase-independent mitochondrial and caspase-dependent plasma membrane potential depolarization" jcs.biologists.org/cgi/content/ full/116 /3/525# Little is known about the temporal relationship between mitochondrial and plasma membrane potential changes and outer mitochondrial membrane permeabilization during apoptosis'. Of note, mitochondria did not completely depolarize but established a new steady-state level that could be further dissipated by treatment with the protonophore carbonyl cyanide p-trifluoromethoxy- phenylhydrazone. Treatment with the FOFl-ATP-synthase inhibitor oligomycin likewise induced a collapse of this steady-state level, suggesting that FOFl-ATP-synthase reversal maintained mitochondrial potential after outer mitochondrial membrane permeabilization.# Our results demonstrate that outer mitochondrial membrane permeabilization coordinates the depolarization of both membrane potentials during apoptosisMITOCHONDRIAL REGULATION en.wikipedia.org/wiki/ Apoptosis# Mitochondrial proteins known as SMACs (second mitochondria-derived activator of caspases) are released into the cytosol following an increase in permeability. SMAC binds to inhibitor of apoptosis proteins (IAPs) and deactivates them, preventing the lAPs from arresting the apoptotic process and therefore allowing apoptosis to proceed. IAP also normally suppresses the activity of a group of cysteine proteases called caspases, which carry out the degradation of the cell, therefore the actual degradation enzymes can be seen to be indirectly regulated by mitochondrial permeability.# MAC, also called "Mitochondrial Outer Membrane Permeabilization Pore" is regulated by various proteins, such as those encoded by the mammalian Bcl-2 family of anti-apoptopic genes, the homologs of the ced-9 gene found in C. elegans.